Most common congenital cardiac anomaly diagnosed in adulthood:
1. ASD
2. VSD
3. PDA
4. TAPVR

Correct answer: 1. ASD

Explanation: Ans. (a) ASDRef: Harrison 19th ed. /1520ATRIAL SEPTAL DEFECT (ASD)* In atrial septal defect there is congenital defect in the interatrial septum.* It is Most common CHD diagnosed in adulthoodTYPES Based on Defects with Different Locations Function- ally the same* Primum- lower part of the septum* Secundum- located near the foramen ovale or fossa ovalis* Sinus venosus- caval location* Coronary sinus- least common - near SVC entryAlso Know* Most common CHD diagnosed in infancy- VSD* 2nd OVERALL MOST COMMON CONGENITAL CARDIAC ANOMALY- VSD* In VSD all chambers are enlarged EXCEPT: Right Atrium* MC cyanotic congenital heart disease: Tetralogy of Fallot (TOF)* 2nd most common cyanotic CHD after TOF-TGA* Most common cause of cyanosis in neonate: Transposition of Great arteries* Most common cause of congenital heart disease beyond the neonatal period: Tetralogy of Fal-Radiological Features:1. All chambers are enlarged in ASD EXCEPT Left ventricle.2. Increased vascularity: Pulmonary artery over loading.3. Enlarged main (dilated MPA) and central pulmonary arteries